Weight gain is seen with all of the following antipsychiatric medications except ?
1. Quitiapine
2. Resperidone
3. Clozapine
4. Molindone

Correct answer: 4. Molindone

Explanation: Ans. is `d' i.e., Molindone Antipsychotics usually cause weight gain. Quitiapine, olanzapine, clozapine and resperidone, all have been implicated in weight gain. Molindone has often been reported to cause weight loss rather than weight gain.